"Bone within a Bone" appearance is seen in:
1. Osteogenesis imperfecta
2. Osteopetrosis
3. Scurvy
4. Rickets

Correct answer: 2. Osteopetrosis

Explanation: Osteopetrosis